Carbon monoxide poisoning is type of:
1. Anemic hypoxia
2. Histotoxic hypoxia
3. Hypoxemic hypoxia
4. Stagnant hypoxia

Correct answer: 1. Anemic hypoxia

Explanation: Ref: Pal GK. Hypoxia and Oxygen die ropy. In: Textbook of Medical Physiology. 2nd ed. Ahuja Publishing House. 2011: 04: 758-59.Explanation:HypoxiaHypoxia is O2 deficiency at the tissue level.Types of HypoxiaHypoxic hypoxia - PO2 of the arterial blood is reducedEg:High altitude (low PO2 in inspired air).Hypoventilation (airway obstruction, respiratory muscle paralysis).Anemic hypoxia - arterial PO2 is normal but the amount of hemoglobin available to carry O2 is reduced.Eg:AnemiaCarbon monoxide poisoning - CO has more affinity (for Hb) than O2; release of CO from CO-Hb is slow; hence O2 cannot bind with HbAltered Hb - MethemoglobinStagnant or ischemic hypoxia - blood flow to a tissue is so low that adequate O2 is not delivered to it despite a normal PO2. and hemoglobin concentrationEg:Heart failure. Shock, Vascular obstructionHistotoxic hypoxia - Amount of O2 delivered to a tissue is adequate but. because of the action of a toxic agent, the tissue cells cannot make use of the O2 supplied to themEg:Cyanide poisoningDiphtheria